Most common infection after splenectomy is -
1. Anaerobic
2. Staphylococcal
3. Streptococcal
4. Pneumococcal

Correct answer: 4. Pneumococcal